Not a manifestation of non proliferative diabetic retinopathy
1. Drusens
2. Hard exudates
3. Dot blot haemorrhage
4. Cotton wool spots

Correct answer: 1. Drusens

Explanation: Drusens are pathognomic of dry ARMD and not diabetic retinopathy Manifestations OF non proliferative diabetic retinopathy - a. Microaneurysm: Saccular outpouchings of the vessel wall due to loss of pericytes b. Dot blot haemorrhage: Due to break of wall of microaneurysm in the deep layers c. Superficial haemorrhage: haemorrhage in superficial layers d. Hard exudates: Lipofuschin deposits in inner layer e. Cotton wool spots: NFL Infarction f. Intraretinal microvascular anomalies: abnormal communicating vessels between arteries and the veins g. Venous bleeding